Researchers surveyed the causes of vitamin D deficiency and its geographic distribution. They found that exposure to ultra violet rays is crucial for its adequacy, which when get excessively filtered by the skin result in its deficiency. This deficiency is more common in
1. Asians
2. Black Africans
3. Mongoloids
4. Europeans

Correct answer: 2. Black Africans